Yearly vaccination on fixed dates is done for
1. Polio
2. Malaria
3. Pertusis
4. Tetanus

Correct answer: 1. Polio

Explanation: Ans. a (Polio). (Ref. Park, PSM 17th/pg.91)Infectious diseases whose control is solely based on active immunization are: m Measles# Diphtheria# Polio# TetanusThe pulse polio programme involves yearly vaccination below 5 years of age on fixed dates.